True about REM sleep is -
1. Night mares
2. Night terror
3. Somniloquy
4. None

Correct answer: 1. Night mares